First antibody to appear in hepatitis -
1. IgM anti-Hbe
2. IgG-anti-Hbe
3. IgM-anti-HBc
4. IgM anti-HBs

Correct answer: 3. IgM-anti-HBc

Explanation: Anti-HBV appears in serum a week or two after the appearance of HBsAg. It is therfore the earliest antibody marker to be seen in blood? long before anti-HBe or anti-HBs. REF:ANANTHANARAYAN AND PANIKER'S TEXTBOOK OF MICROBIOLOGY 9TH EDITION PAGE NO-546